Maximum absorption of HCO3- occurs in:
1. PCT
2. DCT
3. collecting duct
4. ascending limb of the loop of Henle

Correct answer: 1. PCT

Explanation: Bicarbonate: 80% of bicarbonate reabsorption occurs in the PCT, 10% in thick ascending limb of LOH, and remaining in the DCT and collecting duct. Filtered bicarbonate can be reabsorbed only when it combines with H+.